All are true about patients with neurofibromatosis except that they are prone for:
1. Gliomas
2. Retinoblastoma
3. Schwannoma
4. Meningioma

Correct answer: 2. Retinoblastoma

Explanation: Ans: bRef: Harrison, 16thed, p. 2457